Flaying is seen in which type of laceration:
1. Tear
2. Avulsion
3. Split
4. Stretch

Correct answer: 2. Avulsion

Explanation: B i.e. Avulsion - Tearing of skin & sub cutaneous tissue produced d/t blunt forceQ is called laceration. In it the hair follicles and blood vessels are crushedQ so external haemorrhage is not pronounced. - On Scalp, Eyebrows, Cheek bones (zygoma)(2, Lower jaw, Iliac crest, Perineum & ShinQ a lacerated wound looks like incised wound. - Avulsion or shearing laceration is produced by sufficient shearing force delivered at a acute angle to tear off (detach) a portion of a traumatized surface or viscus from its attachments. Flaying is a type of avulsionQ in which shearing &grinding force by weight (such as of lorry wheel passing over a limb) may produce avulsion (separation of skin from underlying tissue) / degloving over a large area.